Spuriously high BP is seen in A/E:
1. Auscultatory gap
2. Small cuff
3. Thick calcified vessels
4. Obesity

Correct answer: 1. Auscultatory gap

Explanation: Answer is A (Auscultatory gap) Spuriously high BP may be seen in obese individuals with a thick blanket of fat which dissibates cuf fpressure, patients with thick calcified vessels and use of small narrow cuff